Which of the following is not a cardioselective beta blocker?
1. Esmolol
2. Nebivolol
3. Acebutolol
4. Oxprenolol

Correct answer: 4. Oxprenolol

Explanation: Ans. is 'd' i.e., Oxprenoiol Selective b1 blockers are (cardioselective):1. Atenolol3. Bisoprolol5.Celiprolo!7. Metoprolol2. Acebutalol4. Betoxolol6. Esmolol8. Nebivolol